A 55-year-old male presented with painless terminal hematuria. Cystoscopic examination revealed a solitary papillary tumor. Histopathological examination of the completely resected tumor is suggestive of grade III transitional cell carcinoma with no muscle invasion. further management of this patient is best done by
1. Just follow up
2. Intravesical chemotherapy
3. Intravesical BCG
4. Cystectomy

Correct answer: 3. Intravesical BCG